Features of intestitial therapy are all except:
1. Only used in head & neck
2. | Damage to normal tissue
3. Temporary or permanent
4. All

Correct answer: 1. Only used in head & neck

Explanation: A i.e. Only used in head & neck